All are true about mammary gland, except -
1. Is a modified sweat gland
2. Extends from 2nd to 6th rib vertically
3. Supplied by internal mammary artery
4. Nipple is supplied by 6th intercostal nerve

Correct answer: 4. Nipple is supplied by 6th intercostal nerve

Explanation: Ans- D Nipple is supplied by 6th intercostal nerve o The nipple is supplied by 4 th intercostal nerve, not 6 th intercostal nerve